Hysteroscopy means visualization of:
1. Genital tract
2. Fallopian tube
3. Uterine cavity
4. Cervix

Correct answer: 3. Uterine cavity